Agent which on addition to a colony inhibits its growth and on removal the colony regrows is -
1. Bacteriostatic
2. Bactericidal
3. Antibiotic
4. Antiseptic

Correct answer: 1. Bacteriostatic

Explanation: They prevent the multiplication of bacteria but however they remain alive. Few antibiotics such as tetracycline,sulphomethoxazole REF:Textbook of microbiology, Ananthanarayan and Paniker. Page no.: 28 Tara textbook of pharmacology